All are the features present in male skull as compared to female skull except
1. Larger teeth
2. Larger foramen
3. Larger frontal sinuses
4. Larger parietal eminence

Correct answer: 4. Larger parietal eminence

Explanation: (d) Larger parietal eminenceFeatureMaleFemaleArchitectureRuggedSmoothFrontal eminenceSmallLargeQParietal eminenceSmallLargeQOrbitsSquareQ with smooth marginRounded with sharp marginFore headSteeperQVerticalPalateLarge, broader and U shapedSmaller and parabolaOccipital condyleLargeSmallGlabellaMore pronounced0Less pronouncedFronto-nasal junctionDistinct and angulatedSmoothSupraorbital ridgesProminent0Less prominentDiagastric grooveMore deepLess deepMastoid processLarge and bluntSmall and pointedZygomatic archMore prominentLess prominentOccipital protuberanceWell markedLess marked